Sallick's manouvere is used for
1. To prevent gastric aspiration
2. To facilitate Respiration
3. To reduce dead space
4. To prevent alveolar collapse

Correct answer: 1. To prevent gastric aspiration

Explanation: A i.e. To prevent gastric aspiration Sellick's manuvere is application of backward pressure on cricoid cartilage to prevent gastric aspiration (Mandelson's syndrome).Q